All the following statements are true regarding losartan except:
1. It is a competitive angiotensin receptor antagonist
2. It has a long acting metabolite
3. Associated with negligible cough
4. Causes hyperuricemia

Correct answer: 4. Causes hyperuricemia